Arthralgia is commonly caused by which ATT drug
1. INH
2. Rifampicin
3. Pyrazinamide
4. Ethambutol

Correct answer: 3. Pyrazinamide

Explanation: Arthralgia is caused by pyrazinamide ,which may be non gouty or due to hyperureemia secondary to inhibition of uric acid secretion in the kidney Ethambutol also produces hyperuricemia due to interferance with urate excretion Refer KDT 6/e p742